Which of the followig is a derivative of otic capsule?
1. Membraneous labyrinth
2. Perilymphatic labyrinth
3. Bony labyrinth
4. Ossicles

Correct answer: 3. Bony labyrinth

Explanation: Ans. is'c'i.e., Bony labyrinthRef Dhingra 4h/e p. 86; Langmann 317Otic capsule or the bony labyrinth ossifies from 14 centres, the first one appears in the region of cochlea at 16 weeks and the last one appears in the postero lateral part of posterior semicircular canal at 20d week